The most common histological type of vulval cancer is?
1. Columnar cell carcinoma
2. Transitional cell carcinoma
3. Adenocarcinoma
4. Squamous cell carcinoma

Correct answer: 4. Squamous cell carcinoma

Explanation: Squamous cell carcinoma is the most frequent form of cancer of the vulva. Squamous 92 % Melanoma 2-4 % Basal cell 2-3 % Bartholin 1%